Which of the following contains long spaced collagen?
1. Diaphragm
2. Cornea
3. Basement membrane
4. Tympanic membrane

Correct answer: 2. Cornea

Explanation: Ans. (b) CorneaRef: Cornea by Mannis, 4/e, p. 897Seen in a number of corneal pathologies like Fuch dystrophy, PPMD, Scheie syndrome, etc.